The following regarding colostomy are true except?
1. A colostomy is an artificial opening made in large Bowel to divert the faeces to the exterior
2. Temporary colostomy is established to defunction an anastomosi
3. Permanent colostomy is formed after the resection of Rectum by the abdominoperinea technique
4. Double barreled colostomy is commonly done nowadays

Correct answer: 4. Double barreled colostomy is commonly done nowadays

Explanation: Ans. is 'd' i.e., Double barreled colostomy is commonly done nowadays